Which of the following is not supplied by Superior mesenteric artery:
1. Jejunum
2. Appendix
3. Ascending colon
4. Descending colon

Correct answer: 4. Descending colon

Explanation: The superior mesenteric artery (SMA) arises from the anterior surface of abdominal aorta, just inferior to the origin of the celiac trunk, and supplies the intestine from the lower part of the duodenum to the left colic flexure and the pancreas.Branches of SMAIntestinal arteries (arcades -- vasa recta--straight arteries) gives branches to ileum, branches to jejunum-(terminal branch of the SMA) supplies last part of ileum, cecum, and appendixIleocolic arteryappendicular arteryRight Colic artery supplies ascending colon.Middle Colic artery supplies the transverse colon.Inferior pancreaticoduodenal artery supplies head of the pancreas and to the descending and inferior parts of the duodenum